Wakana disease is caused by
1. Ancyclostoma duodenale
2. Necator americanus
3. Strongyloides
4. Enterobius vermicularis

Correct answer: 1. Ancyclostoma duodenale

Explanation: Wakana disease seen in Ancyclostoma.
Both GIT & pulmonary symptoms seen.